A 40 year old male brought to the emergency room with a stab injury to the chest.On examination pt is found to be hemodynamically stable. The neck veins are engorged and the heart sounds are muffled .The following statements are true for this pt except ?
1. Cardiac tamponade is likely to be present
2. a) Immediate emergency room thoracotomy should be done.
3. Echocardiogram should be done to confirm pericardial blood
4. The entry wound should be sealed with an occlusive dressing

Correct answer: 2. a) Immediate emergency room thoracotomy should be done.

Explanation: Ans is 'b' Immediate emergency room thoracotomy should be done There is no need for emergency thoracotomy in a hemodynamically stable pt. Cardiac tamponade is quite common in stab injuries to the chest. The classical signs of tamponade are:? (a) Muffled heart sounds (b) Distended neck veins k/a Beck's Triad (c) Hypotension The tamponade can be easily diagnosed by echocardiography (identifying abnormal amount of pericardial fluid) and is managed by pericardiocentesis or surgical pericardiotomy